Claw sign seen in?
1. Intussception
2. Volvulus
3. Both
4. None

Correct answer: 1. Intussception